Corneal curvature measured by -
1. Keratometry
2. Pachymetry
3. Gonioscopy
4. Perimetry

Correct answer: 1. Keratometry

Explanation: Ans. is 'a' i.e., Keratometry o The 'Keratometry' or 'ophthalmometry' is an objective method of estimating the corneal astigmatism by measuring the curvature of central cornea.o Gonioscopy - Biomicroscopic examination of the angle of anterior chamber,o Perimetry - Procedure of estimating the extent of visual fields.o Tonography - Non - invasive technique for determining the facility of aqeous outflow (C - value).